The extrinsic muscles that aid in depressing the tongue are the:
1. Genioglossus and hyoglossus.
2. Genioglossus and palatoglossus.
3. Hyoglossus and styloglossus
4. Styloglossus and palatoglossus.

Correct answer: 1. Genioglossus and hyoglossus.